Diabetic ischemic maculopathy is characterized by all except ?
1. It occurs due to microvascular blockage
2. Mild visual loss
3. Areas of non perfusion are evident on fluorescein angiography
4. Microaneurysms and hemorrhages are seen

Correct answer: 2. Mild visual loss

Explanation: Ans. is `b' i.e., Mild visual loss Ischaemic diabetic maculopathy It occurs due to microvascular blockage. Clinically it is characterised by marked visual loss with microaneurysms, haemorrhages, mild or no macular oedema and a few hard exudates. Fluorescein angiography shows areas of non-perfusion which in early cases are in the form of enlargement of foveal avascular zone (FAZ), later on areas of capillary dropouts are seen and in advanced cases precapillary arterioles are blocked.